Most common site of Curling's ulcer
1. Ileum
2. Stomach
3. Duodenum
4. Esophagus

Correct answer: 3. Duodenum

Explanation: Curling ulcer is acute ulcer peptic ulcer of duodenum developing as a resulting from burn injury which reduces plasma volume resulting in sloughing of the gastric mucosa. Reference SRB 5th edition page no. 822 & internet